Treatment of mucinous carcinoma of Gallbladder confined to the lamina propria
1. Simple cholecystectomy
2. Extended cholecystectomy
3. Cholecystectomy with wedge resection of liver
4. Chemotherapy only

Correct answer: 1. Simple cholecystectomy

Explanation: Ans. (a) Simple CholecystectomyRef: Sabiston 20th edition Page 1512-1514* T1 a is confined to lamina propria- Just simple cholecystectomy is enough.